Golgi tendon organs are concerned with
1. Static length
2. Dynamic length
3. Muscle tension
4. Muscle length

Correct answer: 3. Muscle tension

Explanation: (C) Muscle tension